Neurofibrillary tangles are seen in:
1. Neurosyphilis
2. Shy dragger syndrome
3. Dementia of Alzhiemers Type
4. Lewy body disease

Correct answer: 3. Dementia of Alzhiemers Type

Explanation: Dementia of Alzhiemers Type